Galantamine is used in?
1. Alzheimer's disease
2. Parkinsons disease
3. Emesis
4. Chorea

Correct answer: 1. Alzheimer's disease

Explanation: Ans. (a) Alzheimer's diseaseRef: Goodman & Gillman llthed /. 132